A 45 year old post menopausal woman presents with vaginal bleeding. Transvaginal ultrasound reveals an endometrial thickness of 8.0 mm. The next step in the management should be:
1. Hysterectomy
2. Start progesterone therapy
3. Histopathological examination of curettage
4. Follow up sonogaphy

Correct answer: 3. Histopathological examination of curettage

Explanation: Postmenopausal women with endometrial thickness > 5mm require histopathological examination of the endometrium which can he performed by 'Hysteroscopy and Endometrial biopsy' or after Dilatation and Curettage. Ref: Danforth's Obstetrics and Gynaecology, 10th Edition, Pages 542-43; Ultrasound: A Practical Approach to Clinical Problems By Bluth, 2000, Pages 238-39; Gynaecological Ultrasound in Clinical Practice: Ultrasound Imaging By D. Jurkovic, Lil Valentin, Sanjay Vyas, Page 14